Fetal hydrops is most commonly associated with:
1. Cardiac anomalies.
2. Renal anomalies.
3. GI anomalies.
4. Skeletal anomalies.

Correct answer: 1. Cardiac anomalies.

Explanation: Ans. A. Cardiac anomaliesCardiac anomaly is the most common anatomical abnormality associated with fetal hydrops. In general hydrops associated with a structurally abnormal heart carries a poor prognosis, as the anomaly is usually severe. Those hydropic fetuses with arrhythmia but with structurally normal heart usually respond to either transplacental or direct fetal therapy. In these cases, the prognosis is good.